Lardaceous' spleen is seen in -
1. CML
2. Hodgkin's lymphoma
3. Amyloidosis
4. Malaria

Correct answer: 3. Amyloidosis

Explanation: Ans. is 'c' i.e., Amyloidosis